LDH has following number of isoenzymes:
1. 5
2. 3
3. 11
4. 2

Correct answer: 1. 5

Explanation: Ans. A. 5Enzyme and its isoenzyme both catalyse the same reaction but exhibit different physical and chemical properties. Isoenzymes are common in sera and tissues of all vertebrates, insects, plants and unicellular organisms.